A 24 year old male presented with retroperitoneal left necrotic mass near the hilum of kidney which showed heterogenous contrast enhancement on CECT. What is the probable diagnosis?
1. Metastatic transitional cell carcinoma
2. Metastatic melanoma
3. Metastatic germ cell tumour
4. Lymphoma

Correct answer: 3. Metastatic germ cell tumour

Explanation: . Metastatic germ cell tumour